Drug used for penile erection -
1. Sildenaphil
2. Apomorphine
3. Papaverine
4. All of the above

Correct answer: 4. All of the above

Explanation: Ans. is'd'i.e., All of the above[Ref KDT fl/e p. 303-304 6 &/e p. 296; Katzung LLth/e p. 197)Drugs used in erectile dysfunctionPhosphodiesterase-S inhibitors (Sildenafil, Todafil, Vardenafil)Alprostadil (Prostaglandin El)